Liquefactive action on necrotic tissue results in?
1. Gangrene
2. Embolism
3. Infarct
4. Caseation

Correct answer: 1. Gangrene

Explanation: Ans. is 'a' i.e., Gangrene Wet gangrene occurs when liquefactive necrosis is superimposed on coagulative necrosis.